Z score is used in -
1. Nominal data
2. Normal distribution curve
3. t test
4. Chi square test

Correct answer: 2. Normal distribution curve

Explanation: Ref:Parks 23rd edition pg 849 To know whether the individual value falls above or below the mean value . A random variable is said to have been standardized when it has been adjusted so that mean is zero and SD=1.